In which of the following malignacies histological Grade is a good prognostic indicator?
1. Soft tissue sarcoma
2. Renal cell carcinoma
3. Papillary Thyroid carcinoma
4. Hepatoma

Correct answer: 1. Soft tissue sarcoma

Explanation: Heterogenous group of rare malignant tumours. Combining histological parameters-no of mitosis per eyefield, presence of necrosisi. Cellular and nuclear morphology. Tumour differentiation and neurotic index. Assess the risk of metastasis.